DNA epairs defect associated with malignancy in -
1. Xeroderma pigmentosum
2. Icthyosis
3. Mosaicism
4. ??

Correct answer: 1. Xeroderma pigmentosum

Explanation: . Xeroderma pigmentosum